Antiplatelet drug acting via purinergic receptors, not largely impacted by CYP2C19 polymorphism is:
1. Ticlopidine
2. Prasugrel
3. Clopidogrel
4. Abciximab

Correct answer: 2. Prasugrel

Explanation: Ref. KDT. Page. 629
Prasugrel is a prodrug , similar to Clopidogrel

Thienopyridine drug class
Irreversible antagonist of P2Y12 ADP receptors
Rapidly absorbed, completely activated & exerts more consistent platelet inhibition. No interaction with CYP2C19 polymorphism
Strong anti-platelet activity
Bleeding complications are more serious and frequent.
Contraindicated in patients with history of ischemic strokes and TIA’s